In Pemphigus Vulgaris, autoantibodies are formed against which of the following cell adhesion molecule?
1. Selectin
2. Cadherin
3. Integrin
4. IGSF CAM

Correct answer: 2. Cadherin

Explanation: In Pemphigus Vulgaris (Intraepithelial), autoantibodies are formed against Desmosomes(Cadherin) whereas, in Bullous pemphigoid(Subepithelial), autoantibodies are formed against Hemidesmosomes.